In the normal human right eye, the peripheral field of vision is usually least:
1. On the left side (nasally)
2. In the downward direction
3. In the upward direction
4. On the right side (temporally)

Correct answer: 3. In the upward direction

Explanation: The field of vision is 50 degree superiorly, 60 degree nasally, 70 degree inferiorly and 90 degree temporally. Ref: Textbook of Ophthalmology By Nema, 3rd Edition, Page 73; Comprehensive Ophthalmology By AK Khurana, 2nd Edition, Page 37